A patient presents with chronic small bowel diarrhea, duodenal biopsy shows villous atrophy. Anti-endomysial antibodies and IgA TTG antibodies are positive. What is the treatment of choice?
1. Gluten free diet
2. Antibiotics
3. Loperamide
4. 5-ASA

Correct answer: 1. Gluten free diet